Most immunogenic in
1. 0 antigen
2. H antigen
3. Vi antigen
4. Somatic antigen

Correct answer: 2. H antigen

Explanation: Ans. is 'b' i.e., H. antigen